Hallucinations which occur at the 'start' of sleep is :
1. Hypnagogic hallucinations
2. Hypnopompic hallucinations
3. Jactatio nocturna capitis
4. Non - specific hallucination

Correct answer: 1. Hypnagogic hallucinations

Explanation: Hypnagogic hallucinations

These occur while “going” to sleep. Jactatio capitis nocturna, or rhythmic movement disorder is a neurological disorder characterized by involuntary movements, usually of head and neck, before and during the sleep.